Immediate sign of death is:
1. Fall in body temperature
2. Changes in eye
3. Changes in skin
4. Cessation of circulation and respiration

Correct answer: 4. Cessation of circulation and respiration

Explanation: ANSWER: (D) Cessation of circulation and respirationREF: Parikh 6th edition page 3.6-3.7Immediate signs of death:Loss of sensation of pain, temperature, touches etc.Loss of muscle powerCessation of respiration and circulationLoss of EEG 8c ECGEarly signs of death:Late signs of death:* Algor mortis (cooing)* Putrefaction* Rigor mortis* Adipocere formation* Eye and Skin changes* Mummification* Postmortem lividity